Which of the following is most atherogenic?
1. Cholesterol
2. VLDL
3. Triglycerides
4. LDL

Correct answer: 4. LDL

Explanation: LDL-cholesterol accounts for 6070% of total serum cholesterol. It is the most atherogenic lipoprotein and is the major target of cholesterol-lowering treatments. It is sometimes referred to as "bad" cholesterol.